Bullet that fragments on impact is called:
1. Duplex bullet
2. Dum-dum bullet
3. Frangible bullet
4. Soft-point bullet

Correct answer: 3. Frangible bullet

Explanation: Ans. Frangible bullet